CYP-450 inducers are:
1. Cimetidine
2. Ketoconazole
3. erythromycin
4. DDT

Correct answer: 4. DDT

Explanation: eg for enzyme inducers of cyp3a4 - phenobarbitone, rifampin, glucocorticoids, Phenobarbitone also induces CYP2Bl and rifampin also induces CYP2D6.Isoniazid and chronic alcohol consumption induce CYP2El.Other important enzyme inducers are- chloral hydrate, phenylbutazone, griseofulvin, DDT. Erythromycin, cimetidine, ketoconazole are enzyme inhibitors ref ;KD Tripathi Pharmacology 7th edition (page no;26)